60 years old alcoholic male presented with urinary incontinence and abnormal gait since 3 months. He also complains of loss of memory. What is the diagnosis?
1. Huntington's disease
2. Normal pressure hydrocephalus
3. Wernicke's encephalopathy
4. Cynocobalamine deficiency

Correct answer: 2. Normal pressure hydrocephalus

Explanation: Harrison's principles of internal medicine 17th edition. *For NPH (normal pressure hydrocephalus) clinical triad includes an abnormal gait (ataxic /apractic), dementia and urinary incontinence.